An adult presents with oval scaly hypopigmented macule over the chest and the back. The diagnosis is:
1. Leprosy
2. Lupus vulgaris
3. Pityriasis versicolor
4. Lichen Planus

Correct answer: 3. Pityriasis versicolor

Explanation: Ans. is 'c' Pityriasis Versicolor Both Pityriasis versicolor and Pityriasis Alba causes scaly hypopigmented macules but the lesions of Pityriasis alba occurs on cheek & face and common age of presentation is young children. In Pityriasis versicolor - Lesions occur mostly on shoulder's and Trunks. (Lower limb & hand usually not involved). Commonly occurs in young adults.In indeterminate leprosy - lesions are not scaly. They are hypopigmented anaesthetic patches. In lichen planus - the lesions are hyperpigmented